Endotoxins differ from exotoxins in that endotoxins
1. are proteins
2. are heat labile
3. are highly antigenic
4. activate complement by the alternate pathway

Correct answer: 4. activate complement by the alternate pathway